Most common site of lymphangioima is-
1. kidney
2. head and Neck
3. Groin
4. Heart

Correct answer: 2. head and Neck

Explanation: Lymphangiomas are the benign lymphatic counterpart of hemangiomas. Simple (capillary) lymphangiomas are slightly elevated or sometimes pedunculated lesions up to 1 to 2 cm in diameter that occur predominantly in the head, neck, and axillary subcutaneous tissues. Cavernous lymphangiomas (cystic hygromas) typically are found in the neck or axilla of children, and more rarely in the retroperitoneum. (Robbins basic pathology,9th edition,pg no.359)